A family where all its members are playing a part in management
1. Communal family
2. Problem family
3. Nuclear family
4. Joint family

Correct answer: 1. Communal family